Which of the following drugs is currently widely used in treating opioid-dependent individuals?
1. Codeine
2. Methadone
3. Alphaprodine
4. Pentazocine

Correct answer: 2. Methadone